Prevention of emergence of risk factor is:
1. Primordial prevention
2. Primary prevention
3. Secondary prevention
4. Tertiary prevention

Correct answer: 1. Primordial prevention

Explanation: Primordial prevention